In a patient with gouty arthritis, strongly birefringent needle-shaped crystals with negative elongation in synl fuid aspiration are composed of:
1. Monosodium urate
2. Calcium pyrophosphate
3. Homogentisic acid
4. Sodium pyrophosphate

Correct answer: 1. Monosodium urate

Explanation: Ans. A: Monosodium UrateGout is a metabolic disease most often affecting middle-aged to elderly men and postmenopausal women. It is the result of an increased body pool of urate with hyperuricemia.It is typically characterized by episodic acute and chronic arthritis, due to deposition of Monosodium urate (MSU) crystals in joints and connective tissue tophi, and the risk for deposition in kidney interstitium or uric acid nephrolithiasis.If the clinical appearance strongly suggests gout, the diagnosis should be confirmed by needle aspiration of acutely or chronically involved joints or tophaceous deposits.Acute septic arthritis, several of the other crystalline-associated arthropathies, palindromic rheumatism, and psoriatic arthritis may present with similar clinical features.During acute gouty attacks, strongly birefringent needle-shaped MSU crystals with negative elongation are typically seen both intracellularly and extracellularly.Synovial fluid cell counts are elevated from 2000 to 60,000/